Largest protozoan is?
1. E. Histolytica
2. Balantidium coli
3. E.coli
4. Plasmodium

Correct answer: 2. Balantidium coli

Explanation: ANSWER: (B) Balantidium coliREF: Jawett's 24th edition Section VI. Parasitology > Chapter 46-Medical Parasitology"Balantidium coli, the cause of balantidiasis or balantidial dysentery, is the largest intestinal protozoan of humans"